Which of the following statements is wrong
1. Drugs should be highly lipid soluble to be administered transdermally
2. Nitrates are given by sublingual route
3. Intra arterial injection is a systemic route of drug administration
4. Parenteral route bypasses 1st metabolism

Correct answer: 3. Intra arterial injection is a systemic route of drug administration